Collagen has which amino acid?
1. Tryptophan
2. Glycine
3. Theonine
4. Tyrosine

Correct answer: 2. Glycine

Explanation: Each polypeptide chain of collagen has about 1000 amino acid residues. amino acid composition of collagen is quite unique. About 33% of the amino acids are glycine, that is, every third residue is glycineRef: DM Vasudevan, 7th edition, page no: 720